Mirror box therapy is used in the treatment of :
1. Hypochondriasis
2. Claustrophobia
3. ADHD
4. Phantom limb

Correct answer: 4. Phantom limb

Explanation: Mirror box therapy is used to decrease phantom limb pain in which patient feel like having a limb even after it is amputated.